Rapidly progressive glomerulonephritis is characterized by -
1. Crescents
2. Splitting of basement membrane
3. Neutrophil infilteration of the mesangium
4. Glomerulosclerosis

Correct answer: 1. Crescents